The tobacco preparation mainly used to clean the tooth is:
1. Khaini
2. Mawa
3. Masheri
4. Dhumti

Correct answer: 3. Masheri

Explanation: Mishri/Masheri :

It is prepared by roasting tobacco on a hot metal plate until it is uniformly black. It is then powdered, it is used with or without catechu. 
Catechu is a residual extract obtained by soaking the heartwood of the tree Acacia Catechu or Acacia Suma in boiling water. 
It is used primarily to clean teeth.

Soben Peter 
Essentials of preventive and community dentistry 
4th edition